Which among the following is not a beta lactamase resistant Penicillin?
1. Methicillin
2. Carbenicillin
3. Nafcillin
4. Oxacillin

Correct answer: 2. Carbenicillin

Explanation: Ans. is 'b' i.e., Carbenicillin